Weiger's ligament is?
1. Attachment of vitreous to posterior surface of lens
2. Attachment of vitreous to the retina
3. Attachment of vitreous to orr serrata
4. Attachment of vitreous to optic disc

Correct answer: 1. Attachment of vitreous to posterior surface of lens

Explanation: ANSWER: (A) Attachment of viterous to posterior surface of lensREF: Handbook of Pediatric Eye And Systemic Disease by Kenneth W. Wrigh page 30Some named structures around vitreous:Weiger's ligament (capsulohyaloid ligament or egger's line) : attachment of vitreous to posterior surface of lensBerger's space: centre of hyalocapsoid ligament or weiger's ligamentCloquet's canal: During the tenth week of development in humans (time varies depending on species), the lens grows independent of a blood supply and the hyaloid artery usually regresses. Its proximal portion remains as the central artery of the retina. Regression of the hyaloid artery leaves a clear central zone through the vitreous humor, called the hyaloid canal or Cloquet's canalArea of martergiani: posterior area of cloquet's canal which is seen as weiss ring.Mittendorf's dot: An anterior remnant of the hyaloid artery can be seen in some people as Mittendorf s dot, a small pinpoint-like scar on the posterior surface of the lens.Bergmeister's papilla: A posterior remnant may be seen where the artery left the optic disc, and is known as Bergmeister's papilla